Cataract is cases of diabetes mellitus is due to accumulation of -
1. Glycated crytallins
2. Calcified crystallins
3. Glycated fibrillins
4. Calcified fibrillins

Correct answer: 1. Glycated crytallins

Explanation: In diabetic cataract the mechanisms are belived to be glycation, carbamylation of crystallins and increased oxidative damage. IMG REF